Acute metabolic acidosis tends to _____ intracellular K+ concentration and _____ K+ secretion by the cortical collecting tubules.
1. Increase, increase
2. Increase, decrease
3. Decrease, increase
4. Decrease, decrease

Correct answer: 4. Decrease, decrease

Explanation: Acute metabolic acidosis : reduces intracellular potassium concentration, which, in turn, decreases potassium secretion by the principal cells of the collecting tubules. The primary mechanism by which increased hydrogen ion concentration inhibits potassium secretion is by reducing the activity of the Na+ -K+ ATPase pump. This action then reduces intracellular potassium concentration, which, in turn, decreases the rate of passive diffusion of potassium across the luminal membrane into the tubule